Porters of Infection" are -
1. Anopheles
2. Housefly
3. Aedes
4. Cockroaches

Correct answer: 2. Housefly

Explanation: Ans. is 'b' i.e., Housefly o Houseflies are exceptionally efficeint mechanical spreaders of disease. They transport microorganisms on their feet and hairly legs. Pathogenic organisms, ova and cysts have been recovered from the bodies of the common housefly. Housefies arc therefore called "porter of infection".